The disposable plastic syringes are best sterilized by-
1. Formaldehyde
2. Ethylene oxide
3. Hexachloride
4. UV radiation

Correct answer: 2. Ethylene oxide